Which one of the following is related with 'Mc Naughten'?
1. An accused
2. A witness
3. Private Secretary to PM
4. Prime Minister

Correct answer: 1. An accused

Explanation: Daniel Mc Naughten, a 29 year old Scotsman, suffering from paranoid schizophrenia. He was accused for plotting murder plans against Tories Prime Minister, Sir Robert Peel. Mc Naughten Rule (the right or wrong test; the legal test): It is included in Sec. 84, I.P.C. which is follows: "Nothing is an offence which is done by a person, who at the time of doing it, by reason of unsoundness of mind, is capable of knowing the nature of the act, or that he is doing what is either wrong or contrary to the law." Ref: The Essentials of Forensic Medicine and Toxicology by K S Narayan Reddy, 27th edition, Page 423.